Which of the following is not given in acute severe digitalis toxicity
1. Potassium
2. Digibind
3. Lignocaine
4. None of these

Correct answer: 1. Potassium

Explanation: Hypokalemia precipitates digitalis toxicity but in acute severe digitalis toxicity, there is already hyperkalemia.